Jasper jumper is a
1. Flexible fixed functional appliance
2. Rigid fixed functional appliance
3. Fixed functional appliance
4. None of the above

Correct answer: 1. Flexible fixed functional appliance

Explanation: Herbst appliance is a rigid fixed functional appliance. Jasper jumper is a flexible fixed functional appliance.